Pseudo bubo is caused by:
1. Chancroid
2. LGV
3. Donovanosis
4. Syphilis

Correct answer: 3. Donovanosis

Explanation: Pseudo bubo seen in Donovanosis/Granuloma inguinale Caused by K. Granulomatis I.P--> 8-80 days Clinically- 4 types: Ulcerogranulomatous Hypertrophic type Necrotic Sclerotic Lymph nodes are not enlarged but sometimes subcutaneous nodules grow in inguinal area [look like lymph nodes but are pseudo bubos) All the following 'pseudo' signs are seen in Donovanosis Pseudogroove sign of Greenblatt Pseudobubo Pseudo genital elephantiasis DOC: Azithromycin 2nd -Doxycycline